Which of the following is primary glaucoma:
1. Juvenile glaucoma
2. Steriod induced glaucoma
3. Pigmentary glaucoma
4. All

Correct answer: 1. Juvenile glaucoma

Explanation: Ans. Juvenile glaucoma